Oligohydroamnios is AFI-
1. <8cm
2. <5cm
3. <2 cm
4. <1 cm

Correct answer: 2. <5cm

Explanation: Ans. is 'b' i.e., < 5 cm Oligohydramnios1) AFI <5 cm or single largest vertical pocket < 2cm2) Amniotic fluid less than 100 mLEtiologyChromosomal AbnormalitiesUteroplacental Insufficiency* Congenital anomalies (e.g., renal agenesis and posterior urethral valves)* IUGR* Postdatism/postterm pregnancy* PROM* Twin-to-twin transfusion* Hypertension* Preeclampsia* NSAIDs, angiotensin-converting enzyme inhibitors* Idiopathic